All of the following are parts of cognitive behaviour change technique except
1. Pre-Contemplatation
2. Consolidation
3. Action
4. Contemplation

Correct answer: 2. Consolidation

Explanation: This is called cycle of change given by Prochaska and declemente and it is called cycle of change and comprises of the following steps as listed below. * Ref.Kaplon and sadock, synopsis of psychiatry, 11 th edition, pg no. 624